Female patient with loss of interest in sex is known as:
1. Vaginismus
2. Impotency
3. Sterility
4. Frigidity

Correct answer: 4. Frigidity

Explanation: Ans. D: Frigidity Vaginismus is spasmodic contraction of the vagina due to hyperaestheisa Frigidity is the inability to initiate or maintain the sexual arousal pattern in the female. Impotency is the inability of a person to perform sexual intercourse Sterility is the inability to produce children